The epiphysis at the tip of coracoid process is an example of which of the following type of epiphysis?
1. Traction
2. Atavistic
3. Pressure
4. A or C

Correct answer: 2. Atavistic

Explanation: Coracoid process is shaped like a bent finger. It is an example of atavistic epiphysis. Atavistic epiphysis are formed by centers of ossification which are considered to represent the skeletal elements which were separated in some earlier evolutionary phases but later found to remain fused with adjacent bones. Other types of epiphysis are:Pressure epiphysis: It helps in transmitting body weight and also protects epiphyseal cartilage. eg. head of femur and head of humerusTraction epiphysis: It is caused by pull of muscle. eg: trochanter of femur, tuberosities of humerus.Aberrant epiphysis: Presence of an occasional separate epiphysis in a bone. eg. In the first metacarpal, normal epiphysis is seen at the base, but it may have another one at the head.